Angle of the Neck Of Femur to shaft is:
1. 110deg
2. 125deg
3. 135deg
4. 100deg

Correct answer: 2. 125deg

Explanation: The Angle formed by axis of Femoral Shaft and Line drawn along axis of Femoral Neck is about 127deg (125-140deg).